The Multidrug (MDT) regimen under the National Leprosy Eradication Program for the treatment of all Multibacillary Leprosy would include:-
1. Clofazimine, Thiacetazone and Dapsone
2. Clofazimine, Rifampicin and Dapsone
3. Ethionamide, Rifampicin and Dapsone
4. Propionamide, Rifampicin and Dapsone

Correct answer: 2. Clofazimine, Rifampicin and Dapsone

Explanation: Leprosy Paucibacillary Multibacillary Lesions < 5 > 5 Rx 6 months 12 months Follow up 2 years 5 years Days Dapsone, Rifampicin Dapsone, Rifampicin, clofazimine Now India is going to adapt uniform MDT regime in which used drugs will be D + R+CF to all leprosy Patients. - Also remember, logo of National Leprosy Eradication Programme is